Drug used in the Treatment of "Resistant" Gonorrhoea is:
1. Penicillin
2. Cotrimoxazole
3. Spectinomycin
4. Erythromycin

Correct answer: 3. Spectinomycin

Explanation: Spectinomycin